Which of the following does not involve in repair after brain infarction
1. Microglia
2. Astrocyte
3. Fibroblast
4. Endothelium

Correct answer: 3. Fibroblast

Explanation: Fibroblasts are critical in supporting normal wound healing, involved in key processes such as breaking down the fibrin clot, creating new extra cellular matrix (ECM) and collagen structures to support the other cells associated with effective wound healing, as well as contracting the wound. The greatest factor in functional recovery after brain injury comes from the brain's ability to learn, called neuroplasticity. ... Recent studies have found collagen is extensively distributed throughout the brain and may be essential in protecting the brain against degeneration such as that in Alzheimers.